Ketamine is useful as an anesthetic agent in -
1. Ischemic heart disease
2. Intracranial hemorrhage
3. Hyperactive airways
4. Glaucoma

Correct answer: 3. Hyperactive airways

Explanation: Ans. is 'c' i.e., Hyperactive airways o Ketamine is a potent bronchodilator and relieves bronchospasm - Intravenous anaesthetic agent of choice in asthmatico Ketamine increases ICT, IOP and cardiac oxygen demand, therefore contraindicated in other three conditions.o Note - Inhalation anaesthetic agent of choice in asthmatics is halothane.